Drug of choice for infantile spasms in a patient with tuberous scleosis is -
1. Vigabatrin
2. Tiagabine
3. Lamotrigine
4. Levetiracetam

Correct answer: 1. Vigabatrin

Explanation: Ans. is 'a' i.e., Vigabatrin